Osmotic fragility is increased in:
1. Sickle cell anemia
2. Hereditary spherocytosis
3. Thalassaemia
4. Chronic lead poisoning

Correct answer: 2. Hereditary spherocytosis